The interincisal angle between deciduous incisors is:
1. 100 degrees
2. 120 degrees
3. 150 degrees
4. 170 degrees

Correct answer: 3. 150 degrees

Explanation: Primary teeth are upright, but permanent teeth incline to the labial surface, thus decreasing the inter-incisal angle from about 150 degrees in the deciduous dentition to 123 degrees in the permanent dentition. This increases the arch perimeter.
 
Ref: Textbook of orthodontics Gurkeerat Singh 2nd ed pg no 46